Which of the following is seen in carcinoma breast
1. Powdery calcification
2. Popcorn calcification
3. Nodular calcification
4. Pleomorphic calcification

Correct answer: 4. Pleomorphic calcification

Explanation: Pattern of calcification in breast diseases Carcinoma- Microcalcification, punctate, branching Fibroadenoma-Popcorn( coarse, granular, crushed Stone) Fibrocystic disease - powdery Fat necrosis - Curvilinear Ref: Robbins 9th edition Pg no :1069